An eleven month old boy is all the time so restless that the rest of the class is unable to concentrate. He is hardly ever in his seat but roams around the hall. He has difficulty playing quietly. The most likely diagnosis is?
1. Attention-deficit hyperactivity disorder
2. Conduct disorder
3. Depressive disorder
4. Schizophrenia

Correct answer: 1. Attention-deficit hyperactivity disorder

Explanation: A i.e. Attention deficit hyperactivity disorderAutismAttention Deficit DisorderConduct DisorderThere is marked impairment ofreciprocal social & interpersonalinteractionMore common in males, the onsetoccurs before the age of 7 years,characterised, by:There is violation of rights and rules like- Frequent lying- Stealing or robbery- Absence of social smile- Poor attention span with- Running away from home & school- Absence of feardistractibility- Physical violence- Lack of attachment to- Hyperactivity- Crueltyparents and absence of- Impulsivity seperation anxiety- Moving about here and there - Lack of friends- Talks excessively - Solitary behaviour